The following drug has significant drug interaction with the digoxin except
1. Cholestyramine
2. Thiazide diuretics
3. Quinidine
4. Amlodipine

Correct answer: 4. Amlodipine

Explanation: Cholistyramine inhibits intestinal absorption of digoxin Thiazides result in hypokalemia and thus me precipitate digitalis toxicity by pharmacodynamic interaction Quinidine and verapamil reduces the excretion of digoxin and Thus may precipitate the toxicity(pharmakokinetic interaction) Refer kDT 6/e p499